Mallory hyaline bodies are characteristically seen in:
1. HCC
2. Primary billiary cirrhosis
3. Wilsons Disease
4. Alcoholic liver disease

Correct answer: 4. Alcoholic liver disease

Explanation: Alcoholic liver disease